All of the following methods are used to test pasteurization of milk except:-
1. Phosphatase test
2. Standard plate count test
3. Coliform count
4. Holder (Vat) method

Correct answer: 4. Holder (Vat) method

Explanation: Methods used to test adequate Pasteurization of Milk: - Phosphatase Test - Standard Plate Count - Coliform Count * Holder (Vat) method is used to do pasteurization of milk not to test the adequacy of pasteurization. Method for Pasteurization of milk Name of Method Temperature Time Remarks Holder (Vat) method 63-66 deg C 30 min Quickly cooled to 5 deg C HTST method (High temperature and short time method) 72 deg C >15 sec Rapidly cooled to 4 deg C UHT method (Ultra high temperature) 125 deg C Few secs only In 2 stages